Not a feature of heroin {smack} withdrawal
1. Yawning
2. Muscle cramps
3. Hypersomnia
4. Hypertention

Correct answer: 3. Hypersomnia

Explanation: Heroin or di-acetyl-morphine is about two times more potent than morphine in injectable form. Apart from the parenteral mode of administration, heroin can also be smoked or 'chased' ( chasing the dragon), often in an impure form (called ' smack' or ' brown sugar' in India). Withdrawal SyndromeThe onset of withdrawal symptoms occurs typically within 12-24 hours, peaks within 24-72 hours, and symptoms usually subside within 7-10 days of the last dose of opioid. The characteristic symptoms include lacrimation, rhinorrhoea, pupillary dilation, sweating, diarrhoea, yawning, tachycardia, mild hypertension, insomnia, raised body temperature, muscle cramps, generalised body ache, severe anxiety, piloerection, nausea, vomiting and anorexia. There are marked individual differences in the presentation of withdrawal symptoms. Heroin withdrawal syndrome is far more severe than the withdrawal syndrome seen with morphine. Ref: A Short Textbook of Psychiatry, Niraj Ahuja, 7th Edition, pg. no. 43